Which of the following is/are the side effect of using argon laser-
1. Hypopigmentation
2. Crusting
3. Keloid formation
4. All the above

Correct answer: 4. All the above

Explanation: Argon Laser *Wavelength 488-514 nm *Penetration depth of 1mm, which can be increased by cooling. *Side effects: crusting and possible blistering of skin, irreversible hypopigmentation, transient hyperpigmentation, punctate atrophic or hypertrophic scars, keloid formation. Ref: Lasers in otolaryngology by Karl bernd p.144